The bullet which is open at the nose and is covered with lead jacket called
1. Rubber bullets
2. Tracer bullet
3. Hollow point bullet
4. Dum dum bullet

Correct answer: 4. Dum dum bullet

Explanation: Dum-dum bullet is one which is open at the nose and is covered with lead jacket. When it strikes on the target the lead will expand and produce a larger entrance wound. Hollow point bullet is one which has a pit on the nose. Rubber bullet are used to control the riot and this may cause fatal injury when fired from a close range. Ref: FORENSIC MEDICINE AND TOXICOLOGY Dr PC IGNATIUS THIRD EDITION PAGE 140